Disruption of the hypothalamic pituitary portal system will lead to
1. High circulating levels of PRL, low levels of LH and FSH, and ovarian atrophy
2. Enhanced follicular development as a result of increased circulating levels of PRL
3. Ovulation, followed by increased circulating levels of progesterone
4. A reduction of ovarian inhibin levels, followed by increased circulating FSH

Correct answer: 1. High circulating levels of PRL, low levels of LH and FSH, and ovarian atrophy